Which of the following does not cause postural hypotension:
1. Prazosin
2. Phentolamine
3. Levodopa
4. ACE inhibitor

Correct answer: 4. ACE inhibitor